An old man, Om prakash presented with anorexia, weakness and paraesthesia. On further investigation his hemoglobin came out to be 5.8 g% and the peripheral smear showed the presence of macrocytes and neutrophils having hypersegmented nuclei. His tendon reflexes also were sluggish. Endoscopy revealed atrophic gastritis. Deficiency of which of the following factors can lead to such a clinical situation?
1. Folic acid
2. Vitamin B12
3. Pyridoxine
4. Riboflavin

Correct answer: 2. Vitamin B12

Explanation: Diagnosis of the patient is pernicious anemia. Factors favouring this diagnosis are: Megaloblastic anemia. Demyelination (decreased tendon reflexes) Atrophic gastritis So, he would require parenteral vitamin B12 supplementation.